Which of the following is an example of a Disability limitation in poliomyelitis?
1. Reducing occurence of a polio by immunization
2. Arranging for schooling of child suffering from PRPP
3. Resting affected limbs in neutral position
4. Providing calipers for walking

Correct answer: 3. Resting affected limbs in neutral position

Explanation: Resting limbs in neutral position helps prevent overstretching of paralysed muscles, thereby limits further disability 'Disability Limitation' relates to all levels of prevention whereas 'rehabilitation' refers to taking individual to highest level of functioning ability. Reducing occurence of polio by immmunisation: Primary Level of prevention (Specific Protection) Arranging for schooling of child suffering from PRPP: Tertiary level of prevention (Vocational rehabilitation) Providing calipers for walking: Tertiary Level of prevention (Medical Rehabilitation) Ref: Essential pediatrics OP.Ghai 10th edition Pgno: 212